One DALY signifies?
1. 1 year of disease free life
2. 1 lost year of healthy life
3. 1 month of bedridden life
4. None of these

Correct answer: 2. 1 lost year of healthy life

Explanation: ANSWER: (B) 1 lost year of healthy lifeREF: Park 20th edition page 26DISABILITY ADJUSTED LIFE YEAR (DALY):DALY is a measure of the burden of disease in a population and the effectiveness of the intervention. DALYs express years of life lost to premature death and years lives with disability adjusted for the severity of the disability. One DALY is "one lost year of healthy life"